Which of the following statements is false regarding hydrosalpinx in PID?
1. Often bilateral
2. The wall of the hydrosalpinx is thick and translucent
3. Histology reveals flattening of the tubal plicae and exfoliation of the lining epithelium
4. None of the above

Correct answer: 2. The wall of the hydrosalpinx is thick and translucent

Explanation: The wall of the hydrosalpinx is thin and translucent. Hydrosalpinx in PID: If a pyosalpinx responds to antibiotics, the pus contained therein becomes sterile within 6 weeks of the initial attack, but the damage to the tube remains as chronic pyosalpinx or hydrosalpinx. A hydrosalpinx represents the end results of a previous acute salpingitis and is often bilateral. It is retort shaped due to enormous dilatation of the ampullary region filled with clear fluid and may be as large as 15 cm. The wall of the hydrosalpinx is thin and translucent. Histology reveals flattening of the tubal plicae and exfoliation of the lining epithelium. Ref: Williams Gynaecology 3rd edition Pgno: 224